Incised-like lacerated wound appears at :
1. Fore head
2. Hand
3. Thorax
4. Abdomen

Correct answer: 1. Fore head

Explanation: A i.e. Forehead